A 17-year-old female underwent Fine Needle Aspiration cytology (FNAC) for a lump in the breast which was non-tender, firm and mobile. Which of the following features would suggest finding of a benign breast disease?
1. Dyscohesive ductal epithelial cells without cellular fragments
2. Tightly arranged ductal epithelial cells with dyscohesive bare nuclei
3. Stromal predominance with spindle cells
4. Polymorphism with single or arranged ductal epithelial cells

Correct answer: 2. Tightly arranged ductal epithelial cells with dyscohesive bare nuclei

Explanation: Ans. b. Tightly arranged ductal epithelial cells with dyscohesive bare nuclei Non-tender, firm and mobile breast lump in a female of age 17 years is suggestive of fibroadenoma, in which tightly arranged ductal epithelial cells with dyscohesive bare nuclei are seen on FNAC. (AIIMS May 2013 repeat) Fibroadenoma: Diagnostic findings on needle biopsy consist of: Abundant stromal cells which appear as bare bipolar nuclei Sheets of fairly uniform-size epithelial cells that are typically arranged in either an antler like pattern or a honeycomb pattern. Foam cells and apocrine cells may also be seen, although these are less diagnostic features. Fibroadenoma MC benign tumor of female breastQ MC age group: 15-30 yearsQ Known as breast mouseQ Etiology: Increased sensitivity of focal areas of breast tissue to estrogenQ Pathology: Encapsulated spherical lesion, composed of fibrous and glandular tissueQ Arise from interlobular stroma, stromal cells can be monoclonal or polyclonal Types of Fibroadenoma Pericanalicular Intracanalicular Hard Soft Due to proliferation of connective tissue inside the elastic lamina Due to proliferation of connective tissue outside the elastic lamina Clinical Features: Painless, slowly growing solitary mobile lump in the breast (Breast mouser) Diagnosis: Characteristic popcorn calcificationQon mammography IOC is FNACQ Diagnostic findings on needle biopsy consist of Abundant stromal cells which appear as bare bipolar nuclei Sheets of fairly uniform-size epithelial cells that are typically arranged in either an antler like pattern or a honeycomb pattern. Foam cells and apocrine cells may also be seen, although these are less diagnostic features. Treatment: No treatmentdeg is necessary when diagnosis is confirmed. Excision biopsy is the treatment of choice for suspicious lesionQand for cosmetic indications.